How many net ATPs are generated per glucose molecule upon undergoing TCA cycle?
1. 10 ATPs`
2. 20 ATPs
3. 7 ATPs
4. 2 ATPs

Correct answer: 2. 20 ATPs

Explanation: 10 ATPs are generated per 1 pyruvate molecule. 1 Glucose yields 2 pyruvate molecules.